A patient presents with breast ca. Inspection shows peaud' orange appearance. What is the T stage of the tumor
1. T2
2. T3
3. T4a
4. T4b

Correct answer: 4. T4b

Explanation: According to TNM staging , primary tumour (T) Tx- cannot be assesed T0- Nevidence of primary tumour. T1-<20mm T2-20 to 50mm T3->50mm T4a- tumour of any size extending to chest wall T4b- ulceaion or ipsilateral satellite nodule / edema with peaud'orange appearence T4c- T4a and T4b T4d- inflammatory carcinoma. SRB's Manual of Surgery.Edition -5. Pg no:539.